15 - 30% blood loss seen in what class of hemorrhagic shock
1. I
2. II
3. III
4. IV

Correct answer: 2. II

Explanation: Ans. is 'b' i.e., II Following table depicts the stages of hemorrhagic shock:Class of haemorrhagic shock IIIIIIIVBlood loss (mL)Up to 750750-15001500-2000>2000Blood loss (% blood volume)Up to 15l5-3030-40>40Pulse rate (per minute)<100100-120120-140>140Blood pressureNormalNormalDecreasedDecreasedPulse pressure (mm Hg)Normal or increasedDecreasedDecreasedDecreasedRespiratory rate (per minute)14-2020-3030-40>35Urine output (mL/hour>3020-305-15NegligibleCentral nervous system/ mental statusSlightly anxiousMildly anxiousAnxious, confusedConfused, lethargic